Polar bodies are formed during:
1. Spermatogenesis
2. Organogenesis
3. Oogenesis
4. Morphogenesis

Correct answer: 3. Oogenesis

Explanation: C i.e. Oogenesis